Which of the following test is not done for anterior cruciate ligament injury?
1. Anterior drawer test
2. Pivot shift test
3. Lachman's tes
4. Dial test

Correct answer: 4. Dial test

Explanation: Dial test is done for Posterior cruciate ligament injury. Rest all tests are done for ACL injury- Lachman's test is the most sensitive test for anterior cruciate ligament tears. The anterior drawer test is a to test the stability of the anterior cruciate ligament (ACL) Pivot shift test- used to assess the combined tibio-femoral internal rotation and anterior tibial translation.